Follicular carcinoma most commonly metastasizes to :
1. Lymphnode
2. Liver
3. Bone
4. Kidney

Correct answer: 3. Bone

Explanation: Follicular carcinoma can lead to pulsatile bony metastasis by hematogenenous spread.